Person voluntarily acting like having a disease for a particular gain is:
1. Malingering
2. Factitious disorder
3. Somatisation disorder
4. Munchausens syndrome

Correct answer: 1. Malingering

Explanation: Ans : a (Malingering)a. Malingering - deliberate simulation / exaggeration of symptoms for the purpose of obtaining some gain like financial gain.b. Factitious disorder- intentional production of physical/psychological symptoms which can be attributed to a need to assume the sick role and obtain medical care.c. Munchausen's syndrome- Extreme form of factitious disorder in which parents attend hospitals with a false but plausible and often dramatic history suggesting serious a/c illness;often person has attended and deceived staff of many other hospitals giving false names at each. Many have scars from previous negative exploratory options.d Somatisation disorder- Multiple recurrent and frequently changing physical symptoms ususlly present for several years(min 2 yrs) for which no adequate physical explanation is found. Persistant refusal to accept the advice or reassurance of several doctors.e. Hypochondriacal disorder- persistant pre occupation with possibility of having one or more serious and progressive physical disorder, pt asks for repeated investigations to r/o diseases; fear drugs; no marked sex differentiation.